Positive nitrogen balance is seen in-
1. Starvation
2. Extreme weight loss
3. During fever
4. Recovery phase of protein deficiency

Correct answer: 4. Recovery phase of protein deficiency

Explanation: Ans. is 'd' i.e., Recovery phase of protein deficiency Nitrogen Balance* Because nitrogen is excreted as proteins are recycled or used, we can use the nitrogen in body to evaluate whether the body is getting enough protein.* To estimate the balance of nitrogen, and therefore the protein in body, nitrogen intake is compared to the sum of all sources of nitrogen output.* Nitrogen Balance = Grams of Nitrogen intake - Grams of nitrogen output* If nitrogen intake equals nitrogen output the nitrogen balance is zero and the body is in nitrogen equilibrium.* If nitrogen intake exceeds nitrogen output the body is said to be in positive nitrogen balance. Positive nitrogen balance means that the body is adding protein; growing children, pregnant women, or people recovering from protein deficiency or illness should be in positive nitrogen balance.* If nitrogen output exceeds nitrogen intake the body is in negative nitrogen balance. This means that the body is losing proteins. People who are starving or who are in extreme weight loss diets, or who suffer from fever, severe illness, or infections are in a state of negative nitrogen balance.